Treatment of choice in solar keratosis is :
1. Methotrexate
2. Topical 5 FU
3. Topical mechlorethamine
4. Topical steroids

Correct answer: 2. Topical 5 FU

Explanation: Solar (actinic) keratosis is treated by application of liquid nitrogen. The alternative is 5-FU. Imiquimod cream can also be used.